Memory T cells can be identified by using the following marker:
1. CD45RA
2. CD45RB
3. CD45RC
4. CD45RO

Correct answer: 4. CD45RO

Explanation: CD 45 is called as Leukocyte common antigen (LCA) Location of cell Molecular marker All leucocytes CD45 and CD45RB Medullary thymocytes ('Naive' T- cells) CD45 RA and CD45RC Cortical thymocytes (Memory T-cells) CD45RO